All of the following are seen in Coarctation of Aorta, Except:
1. Diminution of femoral pulsations
2. High incidence of associated Bicuspid aortic valve
3. Left ventricular Hypertrophy
4. Boot Shaped Heart

Correct answer: 4. Boot Shaped Heart

Explanation: Answer is D (Boot Shaped Heart) Boot Shaped Heart is not a radiological feature of Coarctation of Aorta.Boot Shaped Heart is typically seen in Tetralogy of Fallot. Boot Shaped Heart (Couer en Sabot) Tetralogy of Fallot and Tetralogy of Fallot with pulmonary atresia (Pulmonary atresia with VSD) Note that a Boot Shaped Heart may also be seen in Truncus Arteriosus (less commonly) Coarctation of Aorta is associated with Hypertension in upper extremity with marked diminution of pulsation in lower extremities. Coarctation is also typically associated with Left Ventricular Hypertrophy from pressure overload. Bicuspid Aortic Valve is the most common associated cardiac anomaly in patients with Coarctation. Typical Radiological signs in Coarctation include Indentation of Aorta at site of Coarctation and '3 Sign' or para-mediastinal shadow together with notching of inferior surface of ribs.